Most immunogenic RBC blood group system out of the given options is:-
1. Kell
2. Duffy
3. Kidd
4. Lewis antigen

Correct answer: 1. Kell

Explanation: Most immunogenic RBC blood group system:- ABO Blood Grouping > Rh> Kell. If there is mismatch b/w two individual on differential expression of the Kell ag, this can be responsible for Hemolytic diseases of new born (HDN) Duffy Receptor/Ag on RBC which facilitate the entry of plasmodium vivax. Therefore, those individual with Duffy negative RBC are resistant to plasmodium vivax Malaria.